Cause of liver cirrhosis in childhood include –
1. Alpha–1 antitrypsin deficiency
2. Coeliac disease
3. Phenylketonuria
4. Cow's milk intolerance

Correct answer: 1. Alpha–1 antitrypsin deficiency

Explanation: Cirrhosis in children 

Cirrhosis is a histologically defined condition of the liver characterized by diffuse hepatocyte injury and regeneration.
Causes of cirrhosis in children are -

1) Post necrotic

Viral hepatitis -p HBV, HCV           ❑ Idiopathic neonatal hepatitis   o-antitrypsin deficiency
Autoimmune or drug induced hepatitis          ❑ Wilson disease   ❑ Hethochromatosis
Tyrosinemia         ❑ Galactosemia

2) Biliary

Biliary atresia                                      ❑ Choledochal cyst            ❑ Tumor of bile duct
Caroli disease                                       ❑ Cystic fibrosis ❑ Primary sclerosing cholangitis
PFIC       ❑ Paucity of intrahepatic bile ducts

3. Hypersensitivity to drug -3 Phenytoin
4. Parasites -3 Opisthorchis sinensis, Ascaris, Fasciola.